Arrange the following stages of family cycle in chronological sequence -
1. Formation, Extension, Complete extension, Dissolution, Contraction, Complete contraction
2. Formation, Extension, Contraction, Complete extension, Coomplete contraction, Dissolution
3. Formation, Contraction, Complete contraction, Extension, Complete extension, Dissolution
4. Formation, Extension, Complete extension, Contraction, Complete contraction, Dissolution

Correct answer: 4. Formation, Extension, Complete extension, Contraction, Complete contraction, Dissolution

Explanation: Family life cycle Families are not constant; they are ever changing. A normal family-cycle is generally conceived as having six phases Such a model, however, tends to apply only to areas of low mortality and requires amendment in high mortality situations to reflect the early death of children and even the death of the mother before any of the children are old enough to leave hom.e. Moreover, "leaving home" is essentially an American and European phenomenon that has little relevance in many developing countries in Africa and Asia. A number of variations and exceptions, then, to the typical life- cycle such as the early death of children or one spouse, Divorce, childlessness, etc., need to be taken into account. Ref: Park 23rd edition Pgno : 683